Subgingival temperature is lower in
1. Smokers than nonsmokers
2. Acute gingivitis than chronic gingivitis
3. Periodontosis than periodontitis
4. None of the above

Correct answer: 1. Smokers than nonsmokers